All the following are related to legal responsibility of an insane person except -
1. Mc Naughten's rule
2. Durham's rule
3. Curren's rule
4. Rule of nine

Correct answer: 4. Rule of nine

Explanation: The Essentials Forensic Medicine & Toxicology Dr.K.S. Narayana Reddy 32nd edition pg no 305 RULE OF NINE is used to estimate the extend of surface of burns occurs .9%for head and neck ,9%for upperlimb ,9% for the front of lower limb 9%for each back of lower limb ,9% for front of the chest, 9% for back of the chest, 9% for the front and 9% for the back of the abdomen. 99% of the body